Amylnitrate is used in which of the following poisioning:
1. Hydrocyanide poisoning
2. Red phosphorus
3. Yelow phosphorus
4. Arsenic poisioning

Correct answer: 1. Hydrocyanide poisoning

Explanation: A i.e. Hydrocyanide poisoning